Which one of the following is not a feature of liver histology in non-cirrhotic portal fibrosis (NCPF)?
1. Fibrosis in and around the portal tracts
2. Thrombosis of the medium and small portal vein branches
3. Non-specific inflammatory cell infiltrates in the portal tracts
4. Bridging fibrosis

Correct answer: 4. Bridging fibrosis

Explanation: Ans. is 'd' i.e., Bridging fibrosis